Residual volume is:-
1. Equal to the dead space volume
2. Amount of air in the lungs after maximal forceful inspiration
3. Amount of air remaining in the lungs at the end of normal expiration
4. Total lung capacity minus vital capacity

Correct answer: 4. Total lung capacity minus vital capacity

Explanation: RV = Total lung capacity minus vital capacity. RV is volume remained in lungs after forceful expiration.